Cicatrising trachoma is seen in
1. Stage I
2. Stage II
3. Stage III
4. Stage IV

Correct answer: 3. Stage III

Explanation: Grading of trachoma:McCallan's classification by McCallan in 1908, divided the clinical course of the trachoma into following four stages:Stage I (Incipient trachoma or stage of infiltration): It is characterized by hyperemia of palpebral conjunctiva and immature follicles.Stage II (Established trachoma or stage of florid infiltration): It is characterized by an appearance of mature follicles, papillae, and progressive corneal pannus.Stage III (Cicatrising trachoma or stage of scarring): It includes obvious scarring of palpebral conjunctiva.Stage IV (Healed trachoma or stage of sequelae): The disease is quite and cured but sequelae due to cicatrization give rise to symptoms.Ref: Khurana; 4th edition; Pg no. 65